All of the following are clinical manifestations of Epstein Barr virus (EBV), EXCEPT:
1. Bell's palsy
2. Infectious mononucleosis
3. Slow virus disease
4. Lymphoma

Correct answer: 3. Slow virus disease

Explanation: The classic syndrome associated with primary infection of Epstein Barr virus (EBV) is infectious mononucleosis. EBV is associated with Burkitt lymphoma, nasopharyngeal carcinoma, Hodgkin and non-Hodgkin lymphomas, and gastric carcinoma. AIDS patients are susceptible to EBV-associated lymphomas and oral hairy leukoplakia, a wart-like growth that develops on the tongue; it is an epithelial focus of EBV replication. Hematologic complications, including hemolytic anemia, thrombocytopenia, and neutropenia, are more common. Neurologic involvement can include aseptic meningitis, encephalitis, isolated neuropathy such as Bell palsy, and Guillain-Barre syndrome. Ref: Brooks G.F., Carroll K.C., Butel J.S., Morse S.A., Mietzner T.A. (2013). Chapter 33. Herpesviruses. In G.F. Brooks, K.C. Carroll, J.S. Butel, S.A. Morse, T.A. Mietzner (Eds), Jawetz, Melnick, & Adelberg's Medical Microbiology, 26e.